A continuous quantitative data can be depicted with the help of:
1. Bar diagram
2. Pie chart
3. Histogram
4. Pictogram

Correct answer: 3. Histogram

Explanation: Ans. C: Histogram Numerical data/quantitative data is data measured or identified on a numerical scale. Numerical data can be analyzed using statistical methods, and results can be displayed using tables, charts, histograms and graphs. For example, a researcher will ask a questions to a participant that include words how often, how many or percentage. The answers from the questions will be numerical. Examples of quantitative data would be: 'there are 643 dots on the ceiling' or 'there are 735 pieces of bubble gum'. or 'there are 8 planets in the solar system'